Which of these is not a marker of active replicative phase of chronic hepatitis B ?a) HBV DNAb) HBV DNA polymerisec) Anti HBCd) AST & ALT
1. ab
2. bc
3. cd
4. ac

Correct answer: 3. cd